Antibody to cross placenta
1. IgA
2. IgG
3. IgE
4. IgM

Correct answer: 2. IgG

Explanation: Ans. (b) Ig GRef: Robbin's 9th ed. /198-199